A gravida 3 female with H/o 2 previous 2nd trimester abortion presents at 22 weeks of gestation with funneling of cervix. Most appropriate management would be:
1. Administer dinoprostone and bed rest
2. Administer misoprostol and bed rest
3. Apply fothergill stretch
4. Apply McDonald stitch

Correct answer: 4. Apply McDonald stitch

Explanation: Cervical incompetency is the one of the cause for recurrent 2nd trimester miscarriage(20%) Management of cervical incompetence is by two types of operations named after Shirodkar and McDonald Reference:DC Dutta's textbook of obstetrics,8th edition,page no:199